Neurotransmitter mainly involved in OCD is :
1. GABA
2. NE
3. Dopamine
4. Serotonin

Correct answer: 4. Serotonin

Explanation: Serotonergic system is implicated in the pathogenesis of OCD. Therefore selective serotonergic reuptake inhibitors is used to relieve OCD symptoms.